Who gave the basic concepts of "Analytical Psychology"?
1. Sigmond Freud
2. Erik erikson
3. Anna Freud
4. Carl Jung

Correct answer: 4. Carl Jung

Explanation: Psychoanalysis : Sigmond Freud
Child psychoanalysis: Anna Freud
Analytical psychology: Carl Jung.